You have diagnosed intrinsic asthma in a patient and is explaining to him regarding his illness. He has no family history of asthma. All the following are true regarding intrinsic asthma, EXCEPT:
1. Patients with intrinsic asthma may be allergic to aspirin
2. Emphysema is common
3. IgE levels are normal
4. Dander is the commonest allergen

Correct answer: 4. Dander is the commonest allergen

Explanation: Intrinsic asthma is a non atopic condition and so no allergen is detected. The onset in during adulthood and family history may be absent. No preceding allergic illness may be evident and unlike extrinsic asthma it has no association with chronic bronchitis or nasal polyp. Ref: Harsh Mohan Pathology Quick Review, 4th Edition, Page 652